Neurotoxin is which snake -
1. Viper
2. Krait
3. Sea snake
4. None

Correct answer: 2. Krait

Explanation: Ans. is 'b' i.e., Krait Type of poisoningSnakeVasculotoxicVipersMyotoxicSea snakesNeurotoxicElapids- cobra, Krait, coral